An example of chromoprotein is
1. Hemoglobin
2. Sturine
3. Nuclein
4. Gliadin

Correct answer: 1. Hemoglobin

Explanation: Chromoproteins: These are proteins with coloured prosthetic groups. Hemoglobin (Heme, red); Flavoproteins (Riboflavin, yellow), Visual purple (Vitamin A, purple) are some examples of chromoproteins.
Reference: Vasudevan 7th  ed, pg 43